In a population to prevent Coronary artery disease, changing harmful lifestyles by education is referred to as:-
1. High risk strategy
2. Primary prevention
3. Secondary prevention
4. Tertiary prevention

Correct answer: 2. Primary prevention

Explanation: Primary level of prevention: It is action taken prior to onset of disease, which removes the possibility that a disease will ever occur. It signifies 'Intervention in the Pre-pathogenesis phase of a disease / health problem'. Modes of Intervention: Health promotion- Targeted at strengthening the host through a variety of approaches / interventions, e.g. Environmental modifications, nutritional interventions etc. Specific protection: Targeted at prevention of a disease through specific prevention.